In two years after RCT, a patient complains of "Pain over the gum" of that tooth and the tooth is tender to percussion, then the treatment of choice is:
1. Extraction
2. Retreatment of the root canal
3. Apicoectomy and a retro fill
4. An antibiotic course and Re-evaluation at next visit

Correct answer: 2. Retreatment of the root canal